Rotavirus infection is diagnosed by the presence of?
1. Antigen in stool by ELISA
2. Virus in stool
3. Antigen in blood
4. Antibody in stool

Correct answer: 1. Antigen in stool by ELISA

Explanation: Ans. is 'a' i.e., Antigen is stool by ELISA Because Rotavirus is shed in large amounts is stool, detection is relatively easy. Most commonly used are commercial immunoassays to detect rotavirus antigen in fecal specimen.